All are features of Rheumatoid - arthritis, EXCEPT-
1. Osteosclerosis of joint
2. Soft tissue swelling
3. Narrowing of joint space
4. Periarticular osteoporosis

Correct answer: 1. Osteosclerosis of joint

Explanation: Radiological features of RA

Following features are seen on X-ray :-


Reduced joint space
Erosion of articular margins
Subchondral cysts
Juxta-articular rarefaction
Soft tissue shadow at the level of the joint because of joint effusion or synovial hypertrophy
Deformities of the hand and fingers
Periarticular osteopenia (osteoporosis)